A 50 year old female goes into shock and her blood pressure was 50 mmHg. Which of the following concerning her GFR is most likely?
1. Myogenic autoregulation will keep GFR constant
2. Angiotensin II release will maintain normal GFR
3. The macula densa will cause constriction of the afferent arteriole to maintain GFR
4. GFR will virtually cease

Correct answer: 4. GFR will virtually cease

Explanation: Once blood pressure drops below about 60 mmHg, GFR will basically cease, although a very small amount of filtrate may continue to be produced. This is another reason why maintaining blood pressure is so important.